An eight year old boy presents with back pain and mild fever. His plain X-ray of the dorsolumbar spine reveals a solitary collap-sed dorsal vertebra with preserved disc spaces. There was no associated soft tissue shadow. The most likely diagnosis is:
1. Ewing's sarcoma
2. Tuberculosis
3. Histiocytosis
4. Metastasis

Correct answer: 3. Histiocytosis

Explanation: C i.e. Histiocytosis Most common cause of single vertebral body collapse in child with maintained disc space is Eosinophilic GranulomaQ